Renal transplantation from mother to her son is an example of:
1. Autograft
2. Heterograft
3. Allograft
4. Xenograft

Correct answer: 3. Allograft

Explanation: Ans. (c) AllograftRef: Bailey and Love 27th edition, Page 1533* Allograft: Transplant from one individual to another of same species.* Isograft: Transplant between Twins.* Xenograft: Transplant performed between different species